Transmission of all of the following intestinal parasites takes place by the feco-oral route except:
1. Giardia lambia
2. Ascaris lumbriocoides
3. Strongyloides
4. Entamoeba

Correct answer: 3. Strongyloides